Prozone phenomenon is due to-
1. Excess antigen
2. Excess antibody
3. Hyperimmune reaction
4. all

Correct answer: 2. Excess antibody

Explanation: Ans. is 'b' i.e., Excess antibody